Geographic tongue, all are true except:
1. Lesions may be Bilaterally symmetrical on tongue
2. No treatment is required
3. Is a Precancerous condition
4. May be related to emotional stress

Correct answer: 3. Is a Precancerous condition